Dark brown P.M. lividity is seen in -
1. Aniline
2. CO
3. Phosphorus
4. Hydrocyanide

Correct answer: 3. Phosphorus

Explanation: Poison Color Nitrites Reddish brown Potassium chlorate Chocolate brown Phosphorus Dark brown Hydrogen sulphide Bluish green Cyanide Cherry red Carbon monoxide Pink Opium Blackish Ref: K.S.Narayan Reddy's Synopsis of Forensic Medicine and Toxicology, 29th edition, Chapter 27.